All of the following drug are used for management of Post Herpetic Neuralgia except
1. Nortriptyline
2. Capsaicin cream
3. Gabapentin
4. Cycloplegics

Correct answer: 4. Cycloplegics

Explanation: -Cycloplegics have no role in neuropathic pain, provide relief in ocular pain due to spasm of muscles such as uveitis. -Simple analgesics such as paracetamol -Stronger analgesics such as codeine -Tricyclic antidepressants, e.g. nortriptyline, amitriptyline -Carbamazepine for lancinating pain -Gabapentin (300-600 mg up to three times daily), sustained-release Oxycodone or both. -Capsaicin cream (active ingredient of chillie paper) is also used to relieve pain.